Which of the following antibiotic does not act by inhibiting protein synthesis?
1. Vancomycin
2. Tetracycline
3. Streptomycin
4. Azithromycin

Correct answer: 1. Vancomycin

Explanation: Mechanism of action 1. Inhibit cell wall synthesis: Penicillin Cephalosporins, Cycloserine, Vancomycin Bacitracin. 2. Cause leakage from cell membranes: Poly peptides-Polymyxins, Colistin, Bacitracin Polyenes-Amphotericin B, Nystati: Hamycin. 3. Inhibit protein synthesis: Tetracycline Chloramphenicol, Erythromycin, Clindamycin, Linezolid. 4. Cause misreading ofm-RNA code and affect permeability: Aminoglycosides-Streptomycin,Gentamicin, etc. 5,Inhibit DNA gyrase: FluoroquinolonesCiprofloxacin and others. 6.Interfere with DNA function: Rifampin, Metronidazole. 7.Interfere with DNA synthesis: Acyclovir, Zidovudine. 8. Interfere with intermediary metabolism: Sulfonamides, Sulfones, PAS, Trimethoprim, Pyrimethamine, Ethambutol ESSENTIALS OF MEDICAL PHARMACOLOGY K.D.TRIPATHI SIXTH EDITION PAGE NO:668,669